Tuberous sclerosis is associated with All except
1. Ash leaf macule
2. Shagreen patch
3. Schwannoma
4. Adenoma sebaceum

Correct answer: 3. Schwannoma

Explanation: Hypopigmented macules, also known as "ash-leaf spots," can be present at birth and are most common on the trunk and lower extremities. They appear in 80 percent of persons with tuberous sclerosis by one year of age. Shagreen patches, a type of connective tissue hamartoma, are found in approximately half the patients with TSC. Adenoma sebaceum is a misnamed cutaneous disorder consisting of angiofibromas that begin in childhood and appear clinically as red papules on the face especially on the nasolabial folds, cheek and chin mostly thought to be acne not responding to treatment Whereas schwannoma does not come under TSC Refer Robbins page no 1316